Framingham criteria for diagnosis of congestive heart failure classifies the following as major criteria except-
1. Extremity oedema
2. Acute pulmonary oedema
3. Paroxysmal nocturnal dyspnoes
4. S3 gallop

Correct answer: 1. Extremity oedema